Incubation period of which disease is less than 7 days
1. Leishmaniasis
2. Measles
3. Cholera
4. Mumps

Correct answer: 3. Cholera